Epidural analgesia is suitable for
1. Rib fracture
2. Lower abdominal Surgery
3. Thoracotomy
4. All of the above

Correct answer: 4. All of the above

Explanation: Epidural is very suitable as independent anaesthesia technique and as accompanying technique with general anaesthesia. thoracic epidural for Thoracic surgery , rib fracture Lumbar Epidural for upper and lower abdominal surgeries.